Which of the following is not a MAO-B inhibitor?
1. Safinamide
2. Selegiline
3. Rasagiline
4. Cariprazine

Correct answer: 4. Cariprazine

Explanation: Ans. D. Cariprazinea. Safinamide is the latest MAO-B inhibitor for Parkinson's disease. Unlike the previous two, it is a reversible MAO- B inhibitor. Safinamide also has other actions including inhibition of glutamate release and dopamine and serotonin reuptake. It is used as an add-on drug to Levodopa therapy for reducing "off" episodesb. Cariprazine a partial D3 agonist used as anti-psychotic